Lewis body is characteristically is seen in
1. Parkinsonism
2. Pick's disease
3. Azlheimer's disease
4. Neiman Pick disease

Correct answer: 1. Parkinsonism

Explanation: (A) Parkinsonism # Parkinsonism: Pathologically, it is characterized by development of abnormal proteinaceous (alpha-synuclein) cytoplasmic inclusions, called Lewy bodies, throughout the brain. These inclusions have similar structural features to "classical" Lewy Bodies seen subcortically in Parkinson's disease> LB's have a high concentration of a- synuclein and are pathologic hallmark of parkinson's disease# Dementia with Lewy Bodies (DLB) exhibits clinical overlap between Alzheimer's disease and Parkinson's disease> Additionally, there is a loss of dopamine-producing neurons (in the substantia nigra) similar to that seen in Parkinson's disease, and a loss of acetylcholine-producing neurons (in the basal nucleus of Meynert and elsewhere) similar to that seen in Alzheimer's disease.> Cerebral atrophy (or shrinkage) also occurs as the cerebral cortex degenerates. Autopsy series have revealed that the pathology of DLB is often concomitant with the pathology of Alzheimer's disease.> That is, when Lewy Body inclusions are found in the cortex, they often co-occur with Alzheimer's disease pathology found primarily in the hippocampus, including: neurofibrillary tangles (abnormally phosphorylated tau protein), senile plaques (deposited beta-amyloid protein), and granulovacuolar degeneration.